Multi axis grinding process is used in
1. Hedstroem files
2. K files
3. K reamers
4. All of the above

Correct answer: 1. Hedstroem files